Which of the following is true regarding superfecundation?
1. Fertilization of a second ovum in a woman who is already pregnant in different cycle
2. Occurs only in bipartite uterus
3. Both ova do not always develop to maturity
4. The second foetus is born later as a mature child

Correct answer: 3. Both ova do not always develop to maturity

Explanation: Both ova do not always develop to maturity Superfecundation : Is fertilization of 2 ova discharged from the ovary at the same period by 2 separate acts of coitus committed at short intervals. Both ova do not always develop to maturity. One fetus may get aborted early or die and get retained until labour. Superfetation : Fertilization of a second ovum in a woman who is already pregnant is superfoetation. It can occurs in a bipartite uterus. Superfoetation Superfecundation A long interval intervenes between fertilization. Requires ovulation and fertilization during the course of an established pregnancy. Unproven to occur in humans. Fertilization of 2 ova within the same menstrual cycle but not at the same coitus,nor necessarily by sperm from the same male.